Cusco's speculum is -
1. Double bladed posterior vaginal speculum
2. Bivalve selfretaining vaginal speculum
3. Double bladed selfretaining posterior vaginal speculum
4. Bivalve double bladed vaginal speculum

Correct answer: 2. Bivalve selfretaining vaginal speculum

Explanation: Ans. is 'b' i.e., Bivalve self retaining vaginal speculumCusco's self-retaining bivalved speculum is a surgical instrument used for vaginal and cervical examinationIt limits the visualization of the vaginal walls.It is used to visualize the cervix and the vaginal fornixes for the local cause of APH.It is also used for minor procedures like pap smear and IUCD insertion.It is also used to detect the leakage of liquor from the cervical os in case of suspected PROM.